True about G protein coupled receptors is?
1. G proteins bind to hormones on the cell surface
2. All the three subunits alpha, beta and gamma should bind each other for G protein to act
3. G proteins act as inhibitory and excitatory because of difference in alpha subunit
4. G protein is bound to GTP in resting state

Correct answer: 3. G proteins act as inhibitory and excitatory because of difference in alpha subunit